Out of the following, which is the allosteric activator of hepatic glutamate dehydrogenase?
1. ATP
2. GTP
3. ADP
4. NADH

Correct answer: 3. ADP

Explanation: Glutamate dehydrogenase:- Involved in oxidative deamination of glutamate to form alpha-keto glutarate Present in mitochondria of liver cells Can use either NAD or NADP This reaction is reversible Alosteric activator Allosteric inhibitor NAD ADP GDP ATP GTP NADH So, option a,b,d are allosteric inhibitors.